After tonsillectomy, secondary haemorrhage occurs on
1. Within 24 hours
2. 5-10 postoperative day
3. After 2 weeks
4. After 1 month

Correct answer: 2. 5-10 postoperative day

Explanation: COMPLICATIONS OF TONSILLECTOMY Secondary haemorrhage:- Usually seen between the fifth to tenth postoperative day. It is the result of sepsis and premature separation of the membrane. Usually, it is heralded by bloodstained sputum but may be profuse. Simple measures like removal of clot, topical application of dilute adrenaline or hydrogen peroxide with pressure usually suffice. For profuse bleeding, general anaesthesia is given and bleeding vessel is electrocoagulated. Ligation of bleeding vessel is difficult due to friable tissue. Sometimes, approximation of pillars with mattress sutures may be required. External carotid ligation may also be required if bleeding is uncontrollable. Transfusion of blood or plasma, depending on blood loss, is given. Systemic antibiotics are given for control of infection. Ref:- Dhingra; pg num:-430